Myelination in CNS is done by-
1. Astrocytes
2. Oligodendrocytes
3. Ependymal cells
4. Microglia

Correct answer: 2. Oligodendrocytes

Explanation: Ans. is 'b' i.e., Oligodendrocytes * Myelination in central nervous system - Oligodendrocytes* Myelination in peripheral nervous system - Schwann cell